In an asymptomatic abdominal aorta aneurysm, elective repair is indicated if the aneurysmal diameter is greater than
1. 5.5 cm
2. 6.5 cm
3. 7.5 cm
4. 8.5 cm

Correct answer: 1. 5.5 cm

Explanation: An asymptomatic abdominal aortic aneurysm in an otherwise fit patient should be considered for repair if >55 mm in diameter (measured by ultrasonography). The annual incidence of rupture rises from 1% or less in aneurysms that are <55 mm in diameter to a significant level, perhaps as high as 25%, in those that are 70 mm in diameter.Ref: Bailey and love pg: 961